All of the following are clinical features suggestive of trachea-esophagal fistula except -
1. Choking and Coughing
2. Regurgitation
3. Cyanosis
4. Fever

Correct answer: 4. Fever

Explanation: Ans. is 'd' i.e., Fever Clinical features of TOFo The newborn baby with atresia regurgitates all of its first and subsequent feeds. Saliva pours almost continuously from its mouth. Repeated episodes of coughing, choking and cyanosis occur on feeding with TOF.TYPES OF TOF